Chickenpox Rash begins from -
1. Leg
2. Hand
3. Genitalia
4. Face

Correct answer: 4. Face

Explanation: Ans. is 'd' i.e., Face * The chickenpox rash first appear on the face or trunk before spreading to other part of body.* It has following featuresi) Superficial and unilocular (rash of small pox is deep seated and multilocular).ii) Symmetrical, mostly on flexor surface (rash of small-pox usually affect extensor surface).iii) Centripetal distribution (rash of smallpox has centrifugal distribution).iv) Affects axilla but spares palms and soles (rash of small-pox affects palms and soles but spares axilla).v) Pleomorphic, with appearance of all stages of rash simultaneously (rash is mon-omorphic in nature in small- pox).vi) Dew-drop on rose petal apperance (rash of small-pox has umblicated apperarance).vii) Area of inflammation around the rash (in small-pox there is no inflammation around the rash).viii) Evolution of rash is rapid, scabs begin to form 4-7 days after rash (evolution is slow, scabs begin 10-14 days after rash).